Keratomalacia is associated with which of the following infections?
1. Herpes simplex
2. Varicella zoster
3. Measles
4. Diphtheria

Correct answer: 3. Measles

Explanation: - Keratomalacia is often precipitated by an acute systemic illness such as measles, pneumonia, or severe diarrhea.- Keratomalacia is common in developing countries and affects poorly nourished children who are deficient in Vitamin A, often early in the first year of life.- The cornea becomes dull and insensitive, finally the whole tissue undergoes necrosis and seems to melt away (keratomalacia)